Genu of internal capsule carries -
1. Optic radiation
2. Corticospinal
3. Corticorubral tract
4. Corticonuclear tract

Correct answer: 4. Corticonuclear tract

Explanation: Desending (efferent) fibers passing through genu of internal cpsule are corticonuclear fibers.